True about radial nerve:
1. Branch of posterior cord
2. Nerve of extensor compartment of forearm
3. Arise from C5-T1
4. All

Correct answer: 4. All

Explanation: A i.e. Branch of posterior cord; B i.e. Nerve of extensor compartment of forearm; C i.e. Arise from C5-T1